Largest diameter of pelvis:
1. Transverse
2. True conjugate
3. Oblique
4. Bituberous

Correct answer: 1. Transverse

Explanation: Ans. (a) TransverseRef.: D.C. Dutta 8th ed. / 99-104* If such questions are asked regardless of pelvic plain, then transverse diameter of pelvic inlet has largest diameter (13cm).If it is not in option, next best option is oblique diameter (12cm)* Smallest diameter regardless of pelvic plain- Bispinous (10cm)* For more details, please refer to above explanation.